The limiting amino acids in wheat are
1. Lysine and threonine
2. Lysine and tryptophan
3. Lysine and leucine
4. Tyrosine and tryptophan

Correct answer: 1. Lysine and threonine

Explanation: Wheat Next to rice, wheat is the most important cereal. The protein content of wheat varies from 9 to 16 per cent, the limiting amino-acids are lysine and threonine. The wheat grain is much less subjected to loss of essential nutrients during processing than rice. In India, the bulk of wheat is consumed as whole grain wheat flour or atta. Maida or white flour which represents 70 per cent extraction of wheat is poorer from the nutrition standpoint. The whiter the flour the greater the loss of vitamins and minerals. Thus whole grain wheat flour is richer source of vitamin B than refined white flour. Ref:Park's Textbook of Preventive and Social Medicine 25th Ed